In beta-oxidation of fatty acids, carnitine is required for
1. Conversion of short chain fatty acids to long chain fatty acids
2. Transport of long chain fatty acid to mitochondrial inner layer
3. Transport of long chain fatty acid to cytoplasm
4. Conversion of long chain fatty acids to short chain fatty acids

Correct answer: 2. Transport of long chain fatty acid to mitochondrial inner layer

Explanation: Transport of long-chain fatty acid to mitochondria' inner layer